Joint not involved in RA -
1. PIP
2. DIP
3. Wrist
4. MCP

Correct answer: 2. DIP

Explanation: Ans. is 'b' i.e., DIPJointImportant arthritis involving the jointDistal interphalangeal jointProximal interphalangeal jointMetacarpophalangeal joint1st Carpometacarpal jointWristOsteoarthritis, Psoriatic arthritis, Reactive arthritisOsteoarthritis, RA, SLE, Psoriatic arthritisRA, pseudogout, hemochromatosisOsteoarthritisRA, Pseudogout, gonococcal arthritis, juvenile arthritisSpared jointo Wrist and MTPoDIPOsteoarthritisRA